Which is the most common oncogene involved in human cancer?
1. RET
2. RAS
3. RB
4. pS3

Correct answer: 2. RAS

Explanation: RAS is a signal transduction protein. It is the most common oncogene mutation involved in human cancer.